Karyotyping is done for:
1. Chromosomal disorders
2. Autosomal recessive disorders
3. Autosomal dominant disorders
4. Linkage disorders

Correct answer: 1. Chromosomal disorders

Explanation: Karyotyping Study of chromosomes. Chromosomes are arrested in metaphase by Colchicine Most commonly used stain is Giemsa stain, so called G-band. Chromosomes are arranged in order of decreasing length Any alteration in number or structure of chromosomes can be easily detected by karyotyping.